Following are the common sites of Avascular necrosis, EXCEPT:
1. Proximal half of scaphoid
2. The body of talus
3. Patella
4. Head of the femur

Correct answer: 3. Patella

Explanation: C i.e. Patella Avascular necrosis is common in head of femur, proximal scaphoid and body of talusQ